Tumour arising from crown of unerupted tooth is?
1. Periapical cyst
2. Odontogenic keratocyst
3. Dentigerous cyst
4. Ameloblastoma

Correct answer: 3. Dentigerous cyst

Explanation: ANSWER: (C) Dentigerous cystREF: Robbins 8th ed chapter 16The dentigerous cyst is defined as a cyst that originates around the crown of an unerupted tooth and is thought to be the result of a degeneration of the dental follicle. Radiographically, they are unilocular lesions and are most often associated with impacted third molar (wisdom) teeth. Histologically they are lined by a thin layer of stratified squamous epithelium. Often, there is a very dense chronic inflammatory cell infiltrate in the connective tissue stroma. Complete removal of the lesion is curative. This is important, since incomplete excision may result in recurrence or, very rarely, neoplastic transformation into an ameloblastoma or a squamous cell carcinoma.